All are true about ANCA associated crescentic glomerulonephritis, except -
1. Seen in Wegner's granulomatosis
2. Seen in microscopic polyangitis
3. Seen in Henoch Schonlein purpura
4. Is pauci-immue in nature

Correct answer: 3. Seen in Henoch Schonlein purpura

Explanation: Antineutrophil Cytoplasmic Antibodies(ANCA) Antineutrophil cytoplasmic antibodies (ANCAs) are a heterogeneous group of autoantibodies directed against certain proteins (mainly enzymes) in the cytoplasmic granules of neutrophils and monocytes. Two important ANCAs are: Anti-Myeloperoxidase (MPO-ANCA): MPO is a lysosomal enzyme normally involved in producing oxygen free radicals. MPO-ANCAs can be induced by drugs (e.g. propylthiouracil). They are associated with microscopic polyangiitis and Churg-Strauss syndrome.MPO-ANCA were previously called p-ANCA. Anti-Proteinase-3 (PR3-ANCA): PR3 is a constituent of a neutrophil azurophilic granule. It shares homology with many microbial peptides and antibodies against microbial peptides may form PR3-ANCAs. They are associated with Wegener's granulomatosis. PR3-ANCA were previously called c-ANCA. MPO-ANCA were previously called p-ANCA. Ref: RAM DAS NAYAK EXAM PREPARATORY MANUAL FOR UNDERGRADUATES 2nd ed. pg no: 386 Pauci-immune type crescentic GN is defined by the lack of anti-GBM antibodies or significant immune complex deposition. Anti-neutrophil cytoplasmic antibodies (ANCA) typically are found in the serum, which, have a pathogenic role in some vasculitides. Ref: ROBBINS BASIC PATHOLOGY 10th ed Pg no: 563